A 60-year-old industrial worker presents with shortness of breath for the past week. Blood withdrawn shows thick brownish red Color. Diagnosis?
1. Sickle cell anemia
2. Hemolytic anemia
3. Meth-hemoglobinemia
4. G-6-P-deficiency

Correct answer: 3. Meth-hemoglobinemia

Explanation: Ans. C. Meth-hemoglobinemia* Sickle cell anemia has a pediatric presentation.* Hemolytic anemia will cause pallor and not brown discoloration of blood.* In G6PD in event of intravascular hemolysis the hemoglobinuria will cause a black urine. Therefore, by exclusion the answer is meth-hemoglobinuria.